Carpel tunnel syndrome is caused by all, EXCEPT?
1. Amylodosis
2. Hypothyroidism
3. Addisson's disease
4. Diabetes mellitus

Correct answer: 3. Addisson's disease

Explanation: Carpal tunnel syndrome (tardy median palsy) is the result of compression of the median nerve within the carpal tunnel. Conditions leading to CTS are: pregnancy, history of repetitive use of hands, following injury of the wrist, diabetes mellitus, rheumatoid arthritis, inflammatory tenosynovitis, myxedema, localized amyloidosis in localized kidney disease, sarcoidosis, leukemia, acromegaly and hyperparathyroidism. Patients usually presents with pain, burning, and tingling in the distribution of the median nerve. On examination, weakness or atrophy, especially of the thenar eminence is noted. Tinel sign and phalen sign is positive. Tinel sign is tingling or shock-like pain elicited by tapping the volar surface of the wrist; Phalen sign is pain or paresthesia in the distribution of the median nerve when the patient flexes both wrists to 90 degrees for 60 seconds.